Pulsatile otorrhoea is seen in -
1. Glomus tumor
2. CSF otorrhea
3. ASOM
4. Fistula

Correct answer: 3. ASOM